All of the following drugs are used in treatment of dementia except?
1. Memantine
2. Duloxetine
3. Galantamine
4. Donepezil

Correct answer: 2. Duloxetine

Explanation: Ans. B. DuloxetineManagement of patient with Dementia:Mini Mental status examination (MMSE)- score of <24 suggestive of dementia* Treat the cause* CHOLINESTERASE INHIBITORS: FDA for treatment of AD cholinesterase inhibitors: Tacrine, donepezil, rivastigmine, and galantamine. Reversible inhibitors of enzyme acetylcholinesterase, which degrades ACh in synaptic cleft, thereby increasing availability of intra synaptic ACh.* MEMANTINE: noncompetitive NMDA receptor antagonist that may modulate excitatory signaling & have neuro- protective actions. FDA approved for use only in moderate to severe AD. Has demonstrated efficacy for both cognitive & functional improvements over placebo.